All of the following helps in determination of time since death, Except
1. Rigor mortis
2. Livor mortis
3. Algor mortis
4. Pugilistic attitude

Correct answer: 4. Pugilistic attitude

Explanation: Pugilistic attitude: boxing, fencing or defence attitude: * this is due to heat coagulation of muscle protein * the lower limbs are flexed at the hips and knees, the upper limbs are abducted at the shoulders, flexed at the elbows and wrists, head is slightly extended and all fingers are hooked like claws. * stiffening occurs due to coagulation of muscle proteins and the flexor muscles are bulkier than the extensor muscles. * this is the attitude commonly adopted by boxers, hence the name. * It is postmortem heat stiffening. Ref: FORENSIC MEDICINE AND TOXICOLOGY Dr. PC IGNATIUS THIRD EDITION PAGE 201